Double base smokeless gun powder contains:
1. Nitrocellulose and nitroguanidine
2. Potassium nitrate and sulphur
3. Potassium nitrate and charcoal
4. Nitrocellulose and nitroglycerin

Correct answer: 4. Nitrocellulose and nitroglycerin

Explanation: Ans. (D). Nitrocellulose and nitroglycerin(Ref: Review of Forensic Medicine & toxicology; Gautum Biswas; 2nd edition; Pg-215)BLACK gunpowder: Potassium nitrate (75%), Charcoal (15%) & Sulfur (10%)SMOKELESS gun powder:Single base: NitrocelluloseDouble base: Nitrocellulose + NitroglycrineTriple base: Nitrocellulose + Nitroglycerine + NitroguanidineSEMISMOKELESS gunpowder: 80% black & 20% smokeless gunpowder.